Raiv Gandhi Shramik Kalyan Yojna comes under ?
1. RCH
2. ESI
3. MCH programmer
4. National population policy

Correct answer: 2. ESI

Explanation: Ans. is 'b' i.e., ESI RAJIV GANDHI SHRAMIK KALYAN YOJNA The ESI corporation has launched a new Yojna for the employees covered under the ESI scheme. This scheme provides an unemployment allowance for the employees covered under ESI scheme who are rendered unemployed involuntarily due to retrenchment/closure of factory etc. after fulfilling certain eligibility conditions. The scheme came into effect from 1" April, 2005. As per this scheme, an insured person going out of insurable employment involment involuntarily, on account of closure of a factory or establishment, retrenchment, or permanent invalidity arising out of non-employment injury, after rendering insurable employment and having contributed under the scheme for five or more years, is entitled to claim unemployment allowance for maximum period of 6 months during his/her entire service. The allowance can be availed in one spell or different spells of not less than one month. The daily rate of unemployment allowance is the "standard benefit" as specified in the table on standard benefit rates under rule-54 of ESI (Central) Rules, 1950 corresponding to the average daily wage drawn by the insured person.